Among the following, the structure that passes deep to the flexor retinaculum is?
1. Tibialis anterior
2. Tibialis posterior
3. Peroneus brevis
4. Peroneus longus

Correct answer: 2. Tibialis posterior

Explanation: Tibialis posterior is the deepest and most centrally located muscle in the deep posterior compartment of the leg. It arises from the upper posterior aspect of tibia, fibula and interosseous membrane and passes medially deep to the flexor retinaculum. Its tendons flares and inserts into the navicular, tarsal bones, and bases of the second, to fourth metatarsals. Flexor retinaculum is a thick band of deep fascia on the medial aspect of the ankle Medial calcaneal nerve and medial calcaneal artery pierce the retinaculum. Structures passing below it from above down are: Tibialis posterior tendon Flexor digitorum longus tendon Flexor hallucis longus tendon Posterior tibial artery Tibial nerve.